Which of the following instruments will have a four
number formula
1. ordinary hatchet
2. GMT
3. Jeffery hatchet
4. all the above

Correct answer: 2. GMT